Cylindroma is:
1. Appendage tumor
2. Acinic cell carcinoma
3. Pleomorphic adenoma
4. Warthin's tumor

Correct answer: 1. Appendage tumor

Explanation: Cylindroma A malignant epithelial tumour also known as Turban tumor Known as cylindroma because of histological appearance